Drug of choice for acyclovir resistant herpes is :
1. Cidofovir
2. Gancyclovir
3. Valacyclovir
4. Foscarnet

Correct answer: 4. Foscarnet